Treatment of acute neuritis in lepra I reaction is all except
1. Dapsone
2. Steroid
3. Thalidomide
4. Incision and drainage

Correct answer: 3. Thalidomide

Explanation: Thalidomide has no role in Type 1 reaction.
Glucocorticoids are given with antileprotic drugs (Dapson) for neuritis.

If neuritis results in formation of nerve abscess, incision and drainage is the treatment of choice